Death of judicial hanging is because of :
1. Vasovagal shock
2. Occlusion of airway
3. Fracture disclocation of upper cervical vertebra
4. Coma

Correct answer: 3. Fracture disclocation of upper cervical vertebra

Explanation: C i.e. Fracture dislocation of upper cervical